Fast breathing in a 6-month old infant is taken as
1. >60 breaths/ min
2. >50 breaths/ min
3. >40 breaths/ min
4. >30 breaths/ min

Correct answer: 2. >50 breaths/ min

Explanation: Criteria for fast breathing AGE Respiratory Rate <2 months >60/minute 2-12 months >50/minute 12 months-5 years >40/minute